Le Forte II facial fracture implies:
1. Fracture running through alveolar ridge
2. Fracture running through midline of the palate and zygomatico maxillary suture
3. Fracture running through zygomatic process of the maxilla, floor of orbit, root of nose on one side only
4. Similar to C but on both sides

Correct answer: 4. Similar to C but on both sides

Explanation: Le fort I - Fracture line runs above and parallel to palate - Effectively separates alveolus and palate from the facial skeleton above Le fort II - Pyramidal in shape - Passes through the root of nose, lacrimal bone, floor of orbit , upper part of maxillary sinus and pterygoid plate - Orbital floor is always involved Le fort III - Complete disjunction of the facial skeleton from the skull base - Fracture line runs high through the nasal bridge, septum and ethmoids and through the bones of orbit to the frontozygomatic suture